Minamata Bay disease refers to chronic toxicity with:
1. Ergot
2. Dhatura
3. Organophosphorus
4. Mercury

Correct answer: 4. Mercury

Explanation: Ans. Mercury